Random sampling is not done in?
1. Cluster sampling
2. Quota sampling
3. Stratified sampling
4. Simple random

Correct answer: 2. Quota sampling

Explanation: Quota sampling is a method for selecting survey participants that is a non-probabilistic version of stratified sampling. Ref: 25th edition, Park's Textbook of Preventive and Social Medicine, Page no. 913